With regard to anorexia nervosa the following is true except:
1. Phobic avoidance of normal weight
2. Overperception of body image
3. Self induced vomiting
4. Menorrhagia

Correct answer: 4. Menorrhagia

Explanation: D ref: Ahuja, 4th/e p. 135-136 and 5th/e p. 149-156